A 56 yr old smoker had renal clear cell cancer. His LFT showed SGOT/PT - 65/45, ALP-465 but USS abdomen does not showed any liver metastasis. What is the likely diagnosis?
1. Hutchinsons syndrome
2. Stauffers syndrome
3. Goldenhar Syndrome
4. Cornelia De Lange Syndrome

Correct answer: 2. Stauffers syndrome

Explanation: Stauffers syndrome, non metastatic liver dysfunction (paraneoplastic) seen in patients with Renal cell cancer. Ref: Harrisons Principles of Internal Medicine, 18th Edition, Page : 329, 793